Most common infection in patients with prosthetic valves is -
1. Pneumococcus
2. Pseudomonas
3. Staphylococcus
4. Enterococci

Correct answer: 3. Staphylococcus

Explanation: Ans. is 'c' i.e., Staphylococcus Microbiology of the infective endocarditiso A variety of microorganism can cause infective endocarditis.o Staphylococci and streptococci can account for the majority of cases# Staphylococcal infective endocarditis is substantially more common in health care asociated cases of infective endocarditis.# Streptococci remain common cause of community acquired infective endocarditis.The pathogens in infective endocarditiso S. Aureus-31%o Viridans group streptococci-17%o Enterococci-11%o Coagulase negative Staphylococci-11%o Streptococcus bovis-7%o Other streptococci-5%o Non HACEK gram negative bacteria-2%o Fungi-2%o HACEK-2%o Staphylococcus aureus accounts for more than half cases of infective endocarditis.o Streptococci and enterococci are the next most common pathogens.o Injection drug use endocarditis occure more commonly in young males.o Most cases of injection drug use endocarditis involve the right side of the heart.o The tricuspid valve is involved more commonly than the pulmonary valve.Prosthetic valve Endocarditis|||Early prosthetic valveEndocarditis(Within two months of implantation)Most frequently encounteredpathogens in late PVEo Staphylococcus aureus and coagulate negative staphylococci.o Next in frequency# Gram negative bacilli.# Fungal infection.o Streptococci and Staphylococcus aureus followed by coagulase negative staphylococci and enterococci.